A 20-year-old female presents for an infertility workup. She has never had a menstrual period. She is short with a broad chest, webbed neck, and low-set ears. It is demonstrated that she has an abnormal karyotype.Which one of the following best describes the cause of this genetic abnormality?
1. Trisomy
2. Monosomy
3. Trinucleotide repeat
4. Translocation

Correct answer: 2. Monosomy

Explanation: This patient has Turner syndrome or 45 XO. She is missing a second sex (X) chromosome. She would not have a Barr body and would be infertile. She is phenotypically female.